IV rule for bums-
1. % body surface area × weight in pounds × 4 = Volume in ml
2. % body surface area × weight in Kgs × 4 = Volume in Lts
3. % body surface area × weight in Kgs × 5 = Volume in ml
4. % body surface area × weight in Kgs × 4 = Volume in ml

Correct answer: 4. % body surface area × weight in Kgs × 4 = Volume in ml

Explanation: This is the Parkland formula which is the simplest and most widely used formula.
This calculates the fluid to be replaced in the first 24 hours. Half this calculated volume is given the first 8 hours, and the second half in the next 16 hours.